If a fracture, gives the pattern of the striking surface of the weapon it is called
1. Comminuted fracture
2. Ring fracture
3. Pond fracture
4. Signature fracture

Correct answer: 4. Signature fracture

Explanation: Signature fracture This is a depressed comminuted fracture produced by an object with a small striking surface and will give the pattern of the striking surface of the weapon which caused it like a hammer, butt of a rifle, etc. The weapon which caused the injury can be identified. Ref: FORENSIC MEDICINE AND TOXICOLOGY Dr PC IGNATIUS THIRD EDITION PAGE 163